Arrange the steps of spermatogenesis in the sequence of their formation.(AIIMS May 2019) a) Spermatid b) Spermatocyte c) Spermatogonium d) Spermatozoa
1. C>B >A>D
2. B>C >A>D
3. C>B>D>A
4. D>C >B>A

Correct answer: 1. C>B >A>D

Explanation: The sequence is as described in the image. Starting from primordial germ cell -spermatogonium - primary spermatocyte - secondary spermatocyte - spermatid - spermatozoa(sperm).